The Rendell-Baker-Soucek face mask is commonly used in this population?
1. Pediatric
2. Geriatric
3. Pregnant
4. Bariatric

Correct answer: 1. Pediatric

Explanation: The use of a face mask can facilitate the delivery of oxygen or an anesthetic gas from a breathing system to a patient by creating an airtight seal with the patient's face. Some pediatric masks are specially designed to minimize apparatus dead space.